Hydroxyethyl starch is used as:
1. Plasma expander
2. Inotropic agent
3. Vasodilator
4. Type of dextran

Correct answer: 1. Plasma expander

Explanation: It is a blood volume expander used in treatment of hypovolemia; adjunct in leukapheresis to improve harvesting and increase the yield of granulocytes by centrifugation. Mechanism of Action: Produces plasma volume expansion by virtue of its highly colloidal starch structure. Onset of action: Volume expansion: I.V.: Approximately 30 minutes. Contraindications: Renal failure with oliguria or anuria (not related to hypovolemia); any fluid overload condition (eg, pulmonary edema, congestive heart failure); pre-existing coagulation or bleeding disorders. Ref: Wang S. (2012). Chapter 116. Paracentesis. In G.V. Lawry, S.C. McKean, J. Matloff, J.J. Ross, D.D. Dressler, D.J. Brotman, J.S. Ginsberg (Eds), Principles and Practice of Hospital Medicine.